Proteins which have DNA binding domain in its structure are
1. Zinc finger
2. b - Sheet
3. b - band
4. Beta meander

Correct answer: 1. Zinc finger

Explanation: The specificity involved in the control of transcription requires that regulatory proteins bind with high affinity and specificity to the correct region of DNA. Three unique motifs--the helix-turn-helix, the zinc finger, and the leucine zipper-- account for many of these specific protein-DNA interactions.Harper 30th edition pg: 444